Hampton hump is seen in:
1. Pulmonary TB
2. Bronchogenic carcinoma
3. Pulmonary embolism
4. Pulmonary hemorrhage

Correct answer: 3. Pulmonary embolism

Explanation: Ans. (c) Pulmonary embolismRef: Harrison 19th ed. /1633HAMPTON HUMP is a radiologic sign which consists of a shallow wedge-shaped opacity in the periphery of the lung with its base against the pleural surface.